A female is on prophylactic penicillin therapy for rheumatic heart disease. She often gets attacks of rheumatic fever in the past. Which valve is least involved in chronic rheumatic fever?
1. Mitral
2. Aortic
3. Pulmonary
4. Tricuspid

Correct answer: 3. Pulmonary

Explanation: Chronic rheumatic heart disease results from single or repeated attacks of rheumatic fever that produce rigidity and deformity of valve cusps, fusion of the commissures, or shortening and fusion of the chordae tendineae. The mitral valve alone is affected in 50-60% of cases; combined lesions of the aortic and mitral valves occur in 20%; pure aortic lesions are less common. Tricuspid involvement occurs in about 10% of cases but only in association with mitral or aortic disease and is thought to be more common when recurrent infections have occurred. The pulmonary valve is rarely affected long term. Ref: Bashore T.M., Granger C.B., Hranitzky P., Patel M.R. (2013). Chapter 10. Heart Disease. In M.A. Papadakis, S.J. McPhee, M.W. Rabow (Eds), CURRENT Medical Diagnosis & Treatment 2013.